Which intravenous anaesthetic agent has analgesic effect also
1. Thiopentone
2. Propofol
3. Etomidate
4. Ketamine

Correct answer: 4. Ketamine

Explanation: Ketamine does not elicit pain on injection, instead produces profound analgesia. Thiopentone at a concentration greater than 2.5% can produce pain on injection and venous thrombosis. Propofol is formulated as a lipid emulsion which causes pain on injection. A new aqueous prodrug, Fospropofol is associated with less pain on injection. Etomidate, although causes pain on injection, the lipid formulation of etomidate is associated with a much less frequent incidence of pain.